Syndrome characterized by proteinuria, hematuria and hypertension:
1. Nephrotic syndrome
2. Acute nephritis
3. Renal cell carcinoma
4. Nephroclacinosis

Correct answer: 2. Acute nephritis

Explanation: Ans. B: Acute nephritis Nephritic syndrome is characterized by; Proteinuria Hematuria Hypertension Variable renal insufficiency, with; -- Azotemia (elevated blood nitrogen) Oliguria (low urine output The main features are hypertension and RBC casts. Nephritic syndrome causes are usually grouped into 'focal proliferative' and 'diffuse proliferative' on the basis of histology (obtained by a renal biopsy). Focal proliferative IgA nephropathy Chronic liver failure Celiac sprue Dermatitis herpetiformis Henoch-Schoenlein purpura Alport syndrome SLE Diffuse proliferative Focal glomerulosclerosis Membranoproliferative glomerulonephritis (malaria, hepatitis B, hepatitis C, chronic infection, sickle-cell disease, SLE, hemolytic uremic syndrome/thrombotic thrombocytopenic purpura) Cryoglobulinemia SLE Rapidly progressing glomerulonephritis (RPGNs) - several.